All of the following statements are true regarding TOF, except:
1. Right ventricular hypertrophy
2. Atrial septal defect
3. Overriding of aorta
4. Subpulmonic stenosis

Correct answer: 2. Atrial septal defect

Explanation: b. Atrial septal defect(Ref: Nelson's 20/e p 2211-2217)Components of Tetralogy of fallot include ventricular septal defect, infundibular pulmonic stenosis, right ventricular hypertrophy & overriding of aorta.